Features of Horner's syndrome include all of the following except -
1. Miosis
2. Ptosis
3. Anhydrosis
4. Exopthalmos

Correct answer: 4. Exopthalmos

Explanation: Horner's syndrome include Ptosis , miosis , anhydrosis , enophthalmos and loss of ciliospinal reflex. Ref: ak khurana 6th edition pg no.378 IMG REF